A male patient is diagnosed with gonorrhea. When telling the patient about this disease, the physician should include the following instructions except?
1. Abstain from sexual intercourse until therapy is completed and until he and his sex partner no longer have symptoms
2. Wash hands thoroughly to avoid conjunctivitis
3. If he has intercourse before treatment ends, he should tell sexual partner of his status.
4. If untreated, he may develop widespread central nervous system (CNS) damage

Correct answer: 4. If untreated, he may develop widespread central nervous system (CNS) damage

Explanation: Acute urethritis is the most common clinical manifestation of gonorrhea in male patients. Adults/children may develop gonococcal conjunctivitis by touching the eyes with contaminated hands. Patient should avoid sexual intercourse until treatment is completed(4 to 7 days), and a follow-up culture confirms that the infection has been eradicated. If he doesn't refrain from intercourse before Rx is completed, he should use a condom and inform partner his health status Widespread CNS damage is potential complication of untreated syphilis, not gonorrhea. Single IM dose of ceftriaxone is the mainstay of therapy for uncomplicated gonococcal infection